True about gene library:
1. Also known as chromosome
2. Library that contains books on gene
3. Computer base with all gene knowledge
4. DNA Nucleotide or fragment

Correct answer: 4. DNA Nucleotide or fragment

Explanation: D i.e. DNA Nucleotide or fragment Genomic DNA (gene) library contain a copy of every DNA nucleotide sequence in genomeQ, whereas. c-DNA (gene) libraries contain those DNA sequences that transcribe as m RNA.